Schizophrenia is characterized by A/E
1. Delusion
2. Auditory Hallucination
3. Elation
4. Catatonia

Correct answer: 3. Elation

Explanation: C i.e. Elation